True about Caspases is?
1. Involved in apoptosis
2. Cause necrosis
3. Involved in pain pathway
4. Are cytokines inhibitor

Correct answer: 1. Involved in apoptosis

Explanation: ANSWER: (A) Involved in apoptosisREF: Robbins pathology 7th edition page 27-29Caspases are essential in cells for apoptosis, or programmed cell death, in development and most other stages of adult life, and have been termed "executioner" proteins for their roles in the cell Some Caspases are also required in the immune system for the maturation of lymphocytes